In Gonorrhoea -- which is not a presenting feature?
1. Discharge
2. dysuria
3. Hematuria
4. Reddened lips of vulva and vagina

Correct answer: 3. Hematuria

Explanation: Symptoms dysuria vaginal discharge excessive irritant acute unilateral pain and swelling over labia rectal discomfort labia look swollen and inflamed D.C.DUTTA'S TEXTBOOK OF GYNECOLOGY,Pg no:147,6th edition